Which of the following inhibit GnRH pulse secretion
1. Insulin
2. Prolactin
3. Thyroxine
4. Oxytocin

Correct answer: 2. Prolactin

Explanation: Prolactin inhibits GnRH pulse secretion. Thus Hyperprolactinemia inhibits ovarian steroidogenesis.